Collateral circulation is established in:
1. Lungs
2. Kidneys
3. Spleen
4. Heart

Correct answer: 4. Heart

Explanation: Collateral channels are blood vessels which allow blood to flow directly from one artery to another. Arteries in the lungs, kidneys, and spleen are end-arteries. Such arteries have no anastomoses with their neighboring arteries; collateral circulation is not seen in these organs. In the normal human heart there are no functional intercoronary channels or existing collaterals. Sudden blockade of an artery may lead to ischemia and necrosis of the corresponding portion of myocardium. However, if narrowing of a coronary artery occurs slowly, there may be development of collateral vessels. Collateral channels have also found to be developed in skeletal muscle circulation